The world health organisation day is –
1. 7th April
2. 21st May
3. 2nd August
4. 31st December

Correct answer: 1. 7th April

Explanation: World health organization (WHO) 

The WHO is a specialized non-political health agency with headquarter at Geneva.
In 1946, the constitution was drafted by the "Technical preparatory committee “under the chairmanship of Rene sand and was approved in the same year by an international health conference of 51 nations in New York.
The constitution came into force on 7th April 1948, which is celebrated every year as world health day.